Cheiloscopy is the study of prints of -
1. Foot
2. Fingers
3. Palate
4. Lips

Correct answer: 4. Lips

Explanation: Cheiloscopy is study of lipprints which are divided into 8 patterns. The fissures and grooves are characteristic for an individual. There are 24 characteristics. If 7 to 9 characters tally identification is established. Cheiloscopy is derived from Greek words cheilos -- lips and eskopein - see Lips are unique to one person, except in monozygotic twins Lip grooves are permanent and unchangeable It is possible to identify lip patterns as early as the sixth week of intrauterine life Resist many afflictions, such as herpetic lesions Pathologies that damage the lip subtract like burns seem to rule out cheiloscopy Dr.K.S.Narayana Reddys Synopsis of Forensic Medicine & Toxicology 27th edition pg. 48.